Plasma ceruloplasmin alpha 2 globulin is a
1. alpha 1 globulin
2. alpha 2 globulin
3. beta 1 globulin
4. beta 2 globulin

Correct answer: 2. alpha 2 globulin